Retention form of endodontics is:
1. Creation of an apical stop to prevent extrusion of material of beyond apex.
2. Creation of nearly parallel walls in apical 3rd to give tug back to master cone.
3. Access should be expanded so that the instrument do not bind.
4. None of the above

Correct answer: 2. Creation of nearly parallel walls in apical 3rd to give tug back to master cone.